25-year-old woman is being treated for a laceration to the forearm. Local anesthesia is used prior to suturing. An allergic reaction is most likely to occur with wof local anesthetics
1. Lidocaine
2. Procaine
3. Mepivacaine
4. Bupivacaine

Correct answer: 2. Procaine

Explanation: The clinically useful LAs are weak bases with amphiphilic property. A hydrophilic secondaryor tertiary amine on one side and a lipophilic aromatic residue on the other are joined by an alkyl chain through an ester or amide linkage. Ref :- kd tripathi; pg num:-360,361